Tibialis posterior originates from
1. tibia
2. Fibula
3. Interosseus membrane
4. All th above

Correct answer: 4. All th above

Explanation: ORIGIN:The tibialis posterior muscle originates on the inner posterior borders of the tibia and fibula.It is also attached to the interosseous membrane, which attaches to the tibia and fibula.INSION:The tendon of the tibialis posterior muscle (sometimes called the posterior tibial tendon) descends posterior to the medial malleolus and terminates by dividing into plantar, main, and recurrent components.The main portion inserts into the tuberosity of the navicular and the plantar surface of the medial cuneiform.The plantar portion inserts into the bases of the second, third and fourth metatarsals, the intermediate and lateral cuneiforms and the cuboid.The recurrent portion inserts into the sustentaculum tali of the calcaneus.